An accustomed way of doing things is known as:
1. Habit
2. Custom
3. Belief
4. Ritual

Correct answer: 1. Habit

Explanation: Habit is an accustomed way of doing things. It is the usual way of action that can be performed without thinking. Chapter: Medicine and social sciences. Ref: Park 21st edition, page: 627.